Lesions in Face -- False statement is:
1. Suture done as early as possible
2. Full thickness graft is used
3. Suture perpendicular to Langer's line
4. Stitch removed at 2 weeks

Correct answer: 4. Stitch removed at 2 weeks

Explanation: Ans. (d) Stitch removed at 2 weeksRef: Bailey and Love 27th edition, Page 93* Repair face wounds as early in <24hours* In case of grafting -- Full thickness graft taken from behind ear gives good cosmetic match* Incision is always done parallel to Langer's lines and sutures are made perpendicular to them for cosmetic approximation.* Face sutures are removed on 5th day.